Action potential is generated in excitable cells. These cells are:
1. Nerves
2. Muscle
3. Glands
4. All

Correct answer: 4. All

Explanation: All of them. Ie., A Nerves; B i.e. Muscle; C i.e. Glands Action potential develops in excitable cells such as nerves (neurons), muscle (skeletal, smooth and cardiac), and other contractile tissues such as few glandsQ. Glial cells such as neuroglial cells do not generate action potential.